Which bullet may produce key hole entry wound?
1. Tracer bullet
2. Tandem bullet
3. Dum-Dum bullet
4. Yawning bullet

Correct answer: 4. Yawning bullet

Explanation: Yawning bullet is irregular pattern, thus producing key hole entry wound in some cases.